Ligature mark is horizontal in:
1. Hanging
2. Strangulation
3. Both of the above
4. None of the above

Correct answer: 2. Strangulation

Explanation: Ans. Strangulation